Amputated digits are preserved in
1. Cold saline
2. Cold ringer lactate
3. Plastic bag in ice
4. Deep freezer

Correct answer: 3. Plastic bag in ice

Explanation: The amputated digits are cleansed under saline solution, wrapped in saline moistened gauze, and placed in a plastic bag The plastic bag containing the part is then placed on (not packed in) a bed of ice in a suitable container The amputated part should never be immersed in Non-physiological solution such as antiseptics or alcohol Ref: Sabiston 20th edition Pgno :1996